Pulmonary edema PCWP-
1. >28 mm Hg
2. 15 mm Hg
3. > 10 mm Hg
4. > 8 mmg

Correct answer: 1. >28 mm Hg